Virus causing oropharyngeal carcinoma -
1. EBV
2. HPV
3. HHV-8
4. HTLV

Correct answer: 2. HPV

Explanation: Ans. is 'b' i.e., HPV HPV can cause cancers in the back of the throat, most commonly in the base of the tongue and tonsils, in an area known as the "oropharynx." These cancers are called "oropharyngeal cancers." HPV can cause serious health problems, including genital warts and certain cancers. Association of viruses with human cancers (Jawetz) Virus family Virus Human cancer Papillomaviridae Human papillomaviruses Genital tumors Squamous cell carcinoma Oropharyngeal carcinoma Herpesviridae EB virus Nasopharyngeal carcinoma Burkitt's lymphoma Hodgkin's disease B cell lymphoma Human herpesvirus 8 Kaposi's sarcoma Hepadnaviridae Hepatitis B virus Hepatocellular carcinoma Retroviridae HTL virus Adult T cell leukemia Human immunodeficiency virus AIDS related malignancies Flaviviridae Hepatitis C virus Hepatocellular carcinoma